Which of the following takes place during the stationary phase of growth curve?
1. Bacterial cell number increases
2. Bacterial cell size decreases
3. Bacterial cell size increases
4. Sporulation

Correct answer: 4. Sporulation

Explanation: Growth curve:Lag phase: maximum cell size is obtained towards the end of the lag phaseLog phase: cells are smaller and stain uniformlyStationary phase: cells are frequently Gram-variable and show irregular staining due to the presence of intracellular storage granules. Sporulation occurs at this stage. Also, many bacteria produce secondary metabolic products such as exotoxins and antibioticsPhase of decline: involution forms are common Ref: Ananthanarayan 9th edition, p22-23